Which one of the following is not an operation for uterine inversion:
1. O sullivan
2. Haultain
3. Spincelli
4. Fentoni

Correct answer: 4. Fentoni

Explanation: Surgical Procedures to Correct Uterine Inversion